Fixative used for bone histopathology is?
1. 10% formalin
2. Normal saline
3. Rectified spirit
4. Nothing

Correct answer: 1. 10% formalin

Explanation: ANSWER: (A) 10% formalinRE F: Atlas of mineralizedbone histology by HartmutH. Malluche, Marie-Claude Faugere, Hartmut H. Malluche page 26, Handbook of histology methods for bone and cartilage by Yuehuei H. An, Kylie L. Martin Page 159"10% natural buffered formalin (NBF) is the most commonly used fixative for bone specimens"Primary fixatives of bone tissue:1. 10% formalin2. Glutaraldehyde3. Paraformaldehyde4. Alcohol based solutionsSecondary fixatives of bone tissue:Zenkers solution (mercuric chloride, potassium dichromate, sodium sulfate, water, and acetic acid)Bouin's solution (picric acid, acetic acid and formaldehyde)